Most common malignancy in children is ?
1. ALL
2. AML
3. Neuroblastoma
4. Wilm's tumor

Correct answer: 1. ALL

Explanation: Ans. is 'a' i.e., ALL Leukemia is most common malignancy in pediatric age group. o Leukemia / lymphoma = 40% (ALL is more common than AML) CNS Tumor= 30% Embryonal & Sarcoma =10% 2nd most common is CNS Tumor (30%)